Which of the following is true regarding unilateral cleft lip?
1. Occurs more on right side
2. Occurs more on left side
3. No left or right predilection
4. Occurs with equal frequency on left and right side

Correct answer: 2. Occurs more on left side

Explanation: Cleft lip/palate predominates in males whereas cleft palate alone appears to be more common in females. In unilateral cleft lip the deformity affects the left side in 60% of cases.